Tache noires is seen in -
1. Emphysema
2. Diphtheria
3. Boutoneuse fever
4. Bronchial asthma

Correct answer: 3. Boutoneuse fever